During neonatal resuscitation, when should chest compression be started and what is the ideal ratio of chest compression to ventilation
1. Heart rate < 60 /min; 30:2
2. Heart rate < 100 / min; 2:1
3. Heart rate < 100 / min; 15:1
4. Heart rate <60/min; 3:1

Correct answer: 4. Heart rate <60/min; 3:1

Explanation: During neonatal resuscitation, chest compression is started when heart rate < 60 /Min.
Ratio of chest compression to ventilation is 3:1 (90 compression : 20 breath)